Sodium content of one litre of isotonic saline is -
1. 140 mEq
2. 154 mEq
3. 40 mEq
4. 70 mEq

Correct answer: 2. 154 mEq